A patient has multiple meningiomas acoustic neuroma and Hyperpigmented skin lesions; most likely diagnosis is -
1. Neurofibromatosis
2. Tuberous sclerosis
3. Von Hippel lindau disease
4. Sturge weber syndrome

Correct answer: 1. Neurofibromatosis

Explanation: NF 2 is associated with bilateral acoustic neuromas . cutaneous lesions include plaque like lesions,subcutaneous nodules and occasional cafeaelait macules. Page no.324 Reference IADVL's concise textbook of dermatology